String of beads appearance on angiography is seen in
1. Fibromuscular dysplasia
2. Renal stones
3. Bladder stones
4. All of the above

Correct answer: 1. Fibromuscular dysplasia

Explanation: String of beads or pile of plates appearance is seen in fibromuscular dysplasia.